Non-parenteral hepatitis is :
1. Hepatitis E
2. Hep B
3. Hep C
4. Hep D

Correct answer: 1. Hepatitis E

Explanation: Answer is A (Hepatitis E) Hepatitis B, C and D are essentially spread by parenteral routes. Hepatitis A & E are non parenteral hepatitis.